CD 95 is a marker of:
1. Intrinsic pathway of apoptosis.
2. Extrinsic pathway of apoptosis.
3. Necrosis of cell.
4. Cellular adaption.

Correct answer: 2. Extrinsic pathway of apoptosis.

Explanation: -In the activation of Extrinsic pathway of apoptosis, binding of Fas ligand takes place to CD95 (Fas; member of TNF receptor family) or binding of TRAIL (TNF related apoptosis-inducing ligand) attaches to death receptors DR4 and DR5. -This induces the association of FADD (Fas-associated death domain) and procaspase-8 to death domain motifs of the receptors resulting in activation of caspase 8 (in humans caspase 10) which finally activates caspases- 3 and 7 that are final effector caspases. ALSO KNOW: Necroptosis- cell death is initiated by engagement of TNF receptors. Receptor-interacting protein (RIP) kinases are activated, initiating a series of events that result in the dissolution of the cell, much like necrosis Pyroptosis - proinflammatory programmed cell death that is different than apoptosis. Pyroptosis involves caspase-1 and 11.